Which of the following is not an appropriate material for composite hand instruments:
1. Teflon
2. Teflon coated material.
3. Stainless steel.
4. Non metallic.

Correct answer: 3. Stainless steel.

Explanation: Stainless steel instruments should not be used because the composite will stick to the instrument.